Treatment of C. difficile infection
1. Metronidazole
2. Bacitracin
3. Nitazoxanilide
4. All of the above

Correct answer: 4. All of the above

Explanation: Ans. d (All of the above) (Ref H-17th/820; KDT 6th!731; Table 123-2)Pseudomembranous enetrocolitis is associated with use of:Rx of Pseudomemb colitis:# Clindamycin# Metronidazole and vancomycin-drug of choice.# Aminoglycosides# Oral Rx for Cl. difficile-Asso Disease include:# Tetracyclines- Placebo or discontine offending antibiotics# Cotrimoxazole- Metronidazole# Ampicillin- Vancomycin# More common after colorectal surgery.- Teicoplanin- Nitazoxanide- Fusidic acid- Bacitracin.Drug reactions--GIDrug reactionCausal agentsAcute cholestatic hepatitis, jaundiceErythromycinDiarrheaMetformin, Erythromycin, Colchicine, Orlistat, AcarboseFocal to massive hepatic necrosisHalothane, Amanita phalloides (death cap mushroom), Valproic acid, AcetaminophenHepatitisINHPancreatitisDidanosine,Corticosteroids,Alcohol,Valproicacid, Azathioprine, Diuretics(furosemide, HCTZ)Pseudomembranous colitisClindamycin, ampicillin, cephalosporin's(predispose to superinfection by resistant C. difficile)